Which of the following is not a feature of a cross sectional study -
1. Not expensive
2. Observational study
3. Used for chronic diseases
4. Well suited for establishing interrelationships of diseases

Correct answer: 4. Well suited for establishing interrelationships of diseases

Explanation: The time sequence which is essential to the concept of causativity can't be deduced from cross-sectional data. (refer pg no:69 park 23rd edition)